After 4 weeks of Head trauma, pt. presents with features of irritability and altered sensorium. Commonest cause will be -
1. Chronic subdural hematoma
2. Extradural hematoma
3. Intraparenchymal bleed
4. Electrolyte imbalance

Correct answer: 1. Chronic subdural hematoma